Structure over bicipital aponeurosis in cubital fossa-
1. Ulnar nerve
2. Radial nerve
3. Brachial artery
4. Veins

Correct answer: 4. Veins

Explanation: Ans. is 'd' i.e., Veins